The maximum head diameter of ISO Gatesglidden drill # 1 is equivalent to:
1. No 50 file at Do
2. No 40 file at Do
3. No 60 file at Do
4. No 80 file at Do

Correct answer: 1. No 50 file at Do